An autograft of a burn victim is best described by which one of the following?
1. Transplant from one region of a person to another region
2. Transplant from one person to a genetically identical person
3. Transplant from one species to the same species
4. Transplant from one species to another species

Correct answer: 1. Transplant from one region of a person to another region

Explanation: Transplantation from one region of a person to another region of that same person is an autograft and has the best chance of succeeding. When a transplant is done between monozygotic twins, it is an isograft and has a complete MHC compatibility and a good chance of success. Allografts are between members of the same species, and xenografts are between members of different species. Both of these transplants have a high rate of rejection unless immunosuppression accompanies the transplant.